Phase of ovarian cycle can be correlated with all EXCEPT:
1. Endometrial sampling
2. Vaginal cytology
3. Blood hormonal levels
4. Estrous cycle

Correct answer: 4. Estrous cycle

Explanation: Ovarian cycles consists of the following : recruitment and growth of the follicles, ovulation, corpus luteum formation and finally regression of corpus luteum. Along with changes in the ovary there are simultaneous changes in the uterus - the menstrual cycle. Endometrial sampling revealing proliferative or secretory endometrium will tell whether ovulation has occured or not. Similarly the hormones FSH, LH, estradiol and progesterone will also correlate with the phase of ovarian cycles. Vaginal cytology and calculating the maturation index will tell us the phase of the ovarian and menstrual cycle. Estrous cycle does not occur in humans.